Viruses causing hearing loss are all except ?
1. Measles
2. Mumps
3. Rubella
4. Rota virus

Correct answer: 4. Rota virus

Explanation: Ans. is 'd' i.e., Rota virus Viral infection and hearing loss Severe viral infections can sometimes cause hearing loss. It is thought to be due to oxygen depletion as a result of inflammation in the ear. The hearing loss that occur after viral infection is often sudden in onset, with many patients reporting that they awaken with hearing loss or realize that they cannot hear when they try to use a telephone, listen to music, or perform another hearing-related task. Sometimes, hearing loss may be gradual. Ear examination of people who experience hearing loss after viral infection show ear damage in the cochlea which is consistent with injuries that occur as a result of viral infection. The viruses causing hearing loss are mumps, rubella, measles, or herpes.